Which of the following in not a complication of mumps?
1. Orchitis
2. Oophoritis
3. Encephalitis
4. Hepatitis

Correct answer: 4. Hepatitis

Explanation: Mumps virus is the most common cause of parotid gland enlargement in children. Transmission:-respiratory route droplets, saliva, and fomites. Clinical Manifestations of Mumps: 1. Bilateral parotitis: It is the MC manifestation (70-90%). 2. Epididymo-Orchitis is the next MC manifestation (15-30%). of mumps. 3. Aseptic meningitis occurs in <10% of cases, with a male predominance. 4. Oophoritis occurs in about 5% of women. 5. Pancreatitis occurs in 4% of infections and may lead to diabetes. Hepatitis is not associated with Mumps virus. The most common causes of viral hepatitis are the five unrelated hepatotropic viruses hepatitis A, B, C, D, and E.